Renal vein thrombosis is most commonly associated with :
1. Diabetic nephropathy
2. Membranous glomerulopathy
3. Minimal change disease
4. Mesangio-proliferative glomerulonephritis

Correct answer: 2. Membranous glomerulopathy

Explanation: Answer is B (Membranous Glomerulopathy): Membranous glomerulonephritis has the strongest association with development of thrombisis in Renal veins. - Thrombosis & Hemorrhage 3rd/724 Nephrotic Syndrome accompanying membranous 2lomerulopathy and certain carcinomas predisposes to Development of Renal vein thrombosis (which occurs in 10-50% of patients with these disorders-Harrison Nephrotic Syndrome: Common Renal pathologies causing Renal Vein Thrombosis Membranous Glomerulonephritis (strongest association) Membranoproliferative Glomerulonephritis Amyloidosis Lupus Nephritis (Thrombosis & hemorrhage 3rd/724) Nephrotic syndrome due to diabetic mellitus, minimal change disease and lbcal segmental sclerosis are rarely associated with renal vein thrombosis